Western Blot detects
1. DNA
2. RNA
3. Protein
4. mRNA

Correct answer: 3. Protein

Explanation: In this technique, proteins are identified Proteins are isolated from the tissue and electrophoresis is done Separated protein are then transferred on to nitrocellulose membrane After fixation, it is probed with radioactive antibody and autoradiographedRef: DM Vasudevan, 7th edition, page no: 634